In Marfan’s syndrome which of the following will be seen in the eyes:
1. Infero-nesal subluxation of lens
2. Supero-temporal subluxation of lens
3. Corneal edema
4. Increased IOP

Correct answer: 2. Supero-temporal subluxation of lens

Explanation: Marafans syndrome is an autosomal dominant condition.
Subluxation of the lens is a common finding, which is seen in the upward and temporal area, bilaterally symmetrical.
Other abnormalities include spider finger, long extremities, high arched palate and dissecting aortic aneurysm with normal IQ.

Also, Know
Subluxation of the lens also seen in-

Homocystinuria: Autosomal Recessive condition; Downward and nasally displaced lens.
Weil Marchesini syndrome: Forward subluxation and spheroaphakia
Sulphite oxidase deficiency: ectopia lentis is a universal ocular feature
Ehler’s danlos syndrome
Hyperlysinemia
Stickler syndrome